All are of adult size at birth except-
1. Mastoid antrum
2. Ear ossicles
3. Tympanic cavity
4. Maxillary antrum & orbit

Correct answer: 4. Maxillary antrum & orbit